Chronological age 10 years, mental age 4 years. What that person called as?
1. Idiot
2. Imbecile
3. Normal
4. Genius

Correct answer: 2. Imbecile

Explanation: IQ of this child = 4/10 x 100 = 40
Imbecile child has IQ between 25-49.